Who was the first person to introduce cast inlay restoration into dentistry?
1. William H. Taggart
2. Buonocore
3. G.V. Black
4. Bowen

Correct answer: 1. William H. Taggart

Explanation: In his 1907 US Patent #865823, Taggart described a method of making gold inlays using the lost wax technique. It led to the casting of onlays, crowns, multiple-unit fixed dental prostheses (FDPs), and frameworks for removable partial dentures.
Reference: PHILLIPS’ SCIENCE OF DENTAL MATERIALS, 12th ed page no 368